Thiamine deficiency in a chronic alcoholic can reduce energy production as a result of which of the following reasons?
1. It is required for the process of transamination
2. It is a co-factor for oxidative reduction
3. It is a co-enzyme for transketolase in pentose phosphate pathway
4. It is a co-enzyme for pyruvate dehydrogenase and a-ketoglutarate dehydrogenase in TCA pathway

Correct answer: 4. It is a co-enzyme for pyruvate dehydrogenase and a-ketoglutarate dehydrogenase in TCA pathway

Explanation: Thiamine is a co-enzyme for pyruvate dehydrogenase and a-ketoglutarate dehydrogenase in the TCA pathway. Both the steps of the TCA cycle have thiamine requiring enzymes are required for the aerobic generation of ATP through krebs cycle. So thiamine deficiency can result in decreased energy production. Ref: Textbook of biochemistry by DM Vasudevan, 3rd Edition, Page 268